Which of the following fibers reach Purkinje cells directly?
1. Vestibular nuclei
2. Inferior olivary nucleus
3. Raphe nucleus
4. Locus coeruleus

Correct answer: 2. Inferior olivary nucleus

Explanation: Ans. B. Inferior olivary nucleus* Only fibers reaching Purkinje cells directly in the outer molecular layer are climbing fibers originating from inferior olivary nucleus of medulla oblongata constituting olivocerebellar and para olivocerebellar tract.* Rest all other tracts are called Mossy fibers.